Earliest site of bone involvement in hematogenous osteomyelitis:
1. Metaphysis
2. Diaphysis
3. Epiphysis
4. Point of entry of the nutrient artery

Correct answer: 1. Metaphysis

Explanation: Metaphysis Repeatfrom Nov 10